X-linked recessive disorder with mental retardation and self mutilation is seen in -
1. Lesch - Nyhan syndrome
2. Fragile X - syndrome
3. Down syndrome
4. All of the above

Correct answer: 1. Lesch - Nyhan syndrome

Explanation: X-linked recessive disorder causing MR :- Lesch - Nyhan syndrome, Hunter's syndrome.
Self-mutilation behavior is seen in Lesch - Nyhan syndrome.